Acute severe malnutrition diagnostic criteria include all except
1. Weight for height below 2SD of WHO Growth Standards 2006
2. Visible severe wasting
3. Mid arm circumference below 115 mm
4. Bipedal edema

Correct answer: 1. Weight for height below 2SD of WHO Growth Standards 2006

Explanation: WHO & UNICEF’s Acute Malnutrition Criteria

Presence of Bipedal edema
Visible severe wasting
Mid arm circumference below 115 mm
Weight for height below 3SD of WHO Growth Standards 2006